Intrauterine growth of fetus is affected by
1. Growth hormone
2. Insulin
3. Thyroxine
4. Glucocorticoids

Correct answer: 2. Insulin

Explanation: Intrauterine growth of fetus is affected by insulinRef: Ganong's review of medical physiology; 24th edition; page no: 431